Highest concentration of hydroxy proline is seen in-
1. Elastin
2. Fibrous tissue
3. Gelatin
4. Collagen

Correct answer: 4. Collagen